Which of the following represent frequency of continuous variables?
1. Line diagram
2. Histogram
3. Simple bar chart
4. Component bar chart

Correct answer: 2. Histogram